Osteoporosis may be seen in all except:
1. Hyperparathyroidism
2. Hypoparathyroidism
3. Thyrotoxicosis
4. Heparin administration

Correct answer: 2. Hypoparathyroidism

Explanation: Answer is B (Hypoparathyroidism) Osteoporosis is caused by hyperparathyoroidism and not by hypoparathyroidism